The Postmortem finding seen in smothering :
1. Abrasion on the inner side of the mouth
2. Fracture body of hyoid
3. thyroid fracture
4. Curved marks on the neck

Correct answer: 1. Abrasion on the inner side of the mouth

Explanation: A i.e. Abrasion on the inner side of mouth